Acute Papilloedema present with all except-a) Post neuritic atrophy b)  Increase blind spotc) Severe loss of vision d) Hyperemic field
1. a
2. bc
3. ad
4. ac

Correct answer: 4. ac

Explanation: Vision loss occurs in long standing papilloedema (not in acute pappiloedema), and that occurs in less than 25% of patients.
Post neuritic atrophy also occurs in long standing papilloedema and not acute papilloedema.